Most important prognostic factor for breast carcinoma is:
1. Age of the patient
2. Lymph node involvement
3. Genetic factors
4. Family history

Correct answer: 2. Lymph node involvement

Explanation: Ans. (b) Lymph node involvementPrognosis related to lymph node status:* Overall the best prognostic factor for ca breast - disease free survival and overall survival is axillary lymph node status.* But if the question has the choice of staging, then it must be opted because it includes lymph node status & metastasis also.* But the question if asked about the prognosis in metastatic: ca breast- the best option is ER or PR status because the further prognosis and survival in metastatic patients is based on their response to hormone therapy.* The patients with ER positive and more with PR positive will respond well with hormone therapy and have a prolonged survival